The risk of recurrence of congenital heart disease
1. 0.80%
2. 1%
3. 2-6%
4. 10-12%

Correct answer: 3. 2-6%

Explanation: Only 2-8 % of congenital heart diseases recur Ref : page no 412 ghai pediatrics eighth edition